Which type of laser is preferred for creating an iridotomy ?
1. Nd Yag laser
2. CO2 laser
3. Argon laser
4. Diode laser

Correct answer: 1. Nd Yag laser

Explanation: Q-switched Nd:YAG laser, the argon laser and diode lasers can be effectively used fc: iridotomy. Nd: YAG laser has become the preferred method for creating an iridotomy.